In cases of severe head trauma, at what GCS is endotracheal intubation is advised
1. <=3
2. <=8
3. 10
4. 12

Correct answer: 2. <=8

Explanation: In cases of severe head trauma, where the patient is unconscious (a Glasgow Coma Score (GCS) of 8 or less), then a definitive airway (such as endotracheal intubation) may be required- Bailey